Dumb-Bell appearance of spinal cord tumours is seen in
1. Astrocytoma
2. Meningioma
3. Glioblastoma
4. Neurofibroma

Correct answer: 4. Neurofibroma

Explanation: (D) Neurofibroma # Neurofibromatosis is a genetic disorder in which many soft, fleshy growths of nerve tissue (neurofibromas) grow under the; skin and in other parts of the body.> Neurofibromas are growths of Schwann cells (which form a wrapping around peripheral nerve fibers) and other cells that support peripheral nerves.> Neurofibromas, which can be felt under the skin as small lumps, usually start appearing after puberty.> There are two types of neurofibromatosis: peripheral (type 1--also known as von Recklinghausen's disease) and central (type 2) Type 1 affects about 1 of 3,000 people, and type 2 affects about 1 of 40,000.> About half of the people with neurofibromatosis inherit it. Only one gene for neurofibromatosis--from one parent--is required for the disorder to develop, and each child of an affected parent has a 50% chance of inheriting the disorder.> In the other half of the people with neurofibromatosis, it results from a spontaneous gene mutation. Thus, neurofibromatosis can occur in people who have no family history of the disorder. It is a dumbell shaped tumour.